Which of the following is inhalational induction agent of choice for induction.
1. Halothane
2. Isoflurane
3. Sevoflurane
4. Desflurane

Correct answer: 3. Sevoflurane

Explanation: To be agent of choice for induction agent should have low blood gas solubility for fast induction and good smell for easy acceptability to conscious patient. Sevoflurane a sweet smelling gas, non pregnancy and low blood : gas solubility (0.63) is agent of choice for induction. Inhalational agent of choice for neurosurgery in patients withelevated ICPisSevoflurane. Halothane also is pleasant smelling so centres not having sevoflurane, it can be used for induction. Both desflurane and isoflurane are irritant to respiratory tract particularly desflurane so better avoided for induction.